For diagnosis of lunacy a person can be kept under observation at a streach for :
1. 2 Days
2. 7 Days
3. 10 Days
4. 30 Days

Correct answer: 3. 10 Days

Explanation: C i.e. 10 days